All are true regarding somatization dosorder except:
1. Maintain sick role
2. 4-Pain symptoms
3. 1-Sexual symptom
4. 1-Pseudo neurological symptom

Correct answer: 1. Maintain sick role

Explanation: A i.e. Maintain sick role